Drug given for acute gout:
1. Aspirin
2. Indomethacin
3. Febuxostat
4. Allopurinol

Correct answer: 2. Indomethacin

Explanation: Ref: Katzung, 14th ed. pg. 648* Primary gout is seen due to decreased uric acid excretion* Secondary gout can be secondary to any cause causing hyperuricemia.* DOC for acute gout: NSAID-DOC (Indomethacin), Colchicine and corticosteroids# Colchicine is fastest acting. It is NOT an anti-inflammatory drug but it specifically suppresses gout inflammation.# Not preferred over NSAID because of its side effects of GI upset.* All NSAIDS can be given in acute gout EXCEPT aspirin as it competes with tubular excretion of uric acid leading to Hyperuricemia.* Probenecid: Has uricosuric action* DOC for chronic gout: Allopurinol